All of the following disease spread through Louse except :-
1. Trench fever
2. Pediculosis
3. Q fever
4. Epidemic typhus

Correct answer: 3. Q fever

Explanation: Louse is the vector of: Epidemic typhus Trench fever Relapsing fever Pediculosis Its control is done by insecticide -malathion . May be resistant to DDT & HCH. Personal hygiene most important to prevent its infestation. Q fever has no vector: Q fever is transmitted through Inhalation of infected dust Contaminated milk, meat.